Thrombomodulin-thrombin complex produces its anticoagulant effect by-
1. Inactivating factor V and VIII
2. Inactivating protein C
3. Inactivating protein S
4. Inactivating factor VIII

Correct answer: 1. Inactivating factor V and VIII

Explanation: Thrombomodulin Present on the endothelial cells and binds to thrombin and activates protein C, which inhibits clotting by proteolysis of factor Va and VIIIa. Ref: RAM DAS NAYAK 2nd Ed. Pg 89